Which of the following is true regarding enalapril treatment in patients of essential hypertension?
1. Decreased angiotensin II concentration in the blood
2. Decreased concentration of renin in the blood
3. Decreases sodium and increases potassium in the urine
4. All of the above

Correct answer: 1. Decreased angiotensin II concentration in the blood